A person has to go to Shimla next morning. What drug should be given to prevent motion sickness in this person?
1. Scopolamine patch a night before
2. Ranitidine one night before and then before the trip
3. Dimenhydrinate 1 hour before journey
4. Omeprazole half an hour before the trip

Correct answer: 1. Scopolamine patch a night before

Explanation: Ans. (A) Scopolamine patch a night before(Ref: KDT 7/e p120)Scopolamine (hyoscine) is drug of choice for motion sickness. It should be given as transdermal patch (a night before) or orally (half an hour before journey).